Fully humanized antibodies used in treatment of rheumatoid arthritis ?
1. Anakira
2. Adalimumab
3. Infliximab
4. Leflunomide

Correct answer: 2. Adalimumab